All of the following may predispose to Endometrial Ca, except:
1. Un-opposed Estrogen
2. Oral contraceptive
3. Radiation
4. Tamoxifen therapy

Correct answer: 2. Oral contraceptive

Explanation: Oral contraceptives will not predispose to Endometrial Ca. Ref: Current Obs and Gynae Diagnosis and Treatment, 9th Edition, Page 916 ; Shaw's Textbook of Gynaecology, 12th Edition, Pages 302-3